All of the following are neurologic channelopathies, except?
1. Hypokalemic periodic paralysis
2. Episodic ataxias
3. Familial hemiplegic migraine
4. Huntington's disease

Correct answer: 4. Huntington's disease

Explanation: Choice 1 and 3 are calcium channel defect. Choice 2 is potassium channel defect. Huntington' disease is a disorder of trinucleotide repeats due to Huntington gene on chromosome 4.